Which of the following is true about vasa previa except ?
1. Incidence is 1:1500
2. Mortality rate of 20% with undiagnosed case
3. Associated with low lying placenta
4. Caesarian section is indicated

Correct answer: 2. Mortality rate of 20% with undiagnosed case

Explanation: Mortality rate of 20% with undiagnosed cases Fetal blood vessels normally travel from placenta through the umbilical cord into the fetal umbilicus. Vasa previa is a condition in which the fetal blood vessels unsupported by either umbilical cord or placental tissue are trapped between fetus and opening of the birth canal. This condition is associated with low lying placenta. There is considerable potential danger to the fetus because the membrane rupture is accompanied by tearing of fetal vessels which may lead to severe fetal bleeding. Fetal hypoxia and death may also be caused when the vessels are compressed by the fetal presenting part, particularly during uterine contractions. The amount of blood loss required to cause fetal death is very small thus the fetal mortality in vasa previa is about 75-100%. Surprisingly there is little if any increase in maternal complications. Diagnosis of Vasa previa should be considered in all cases of third trimester bleeding associated with an FHR monitoring trace suggestive of fetal compromise or cord compression. In these cases vaginal blood should be examined for fetal hemoglobin. If there is evidence of fetal bleeding, emergency cesarean section, should be performed. 715